Most of the nerve endings located among the odontoblasts are believed to be
1. Sensory receptors.
2. Motor receptors
3. Mixed receptors
4. None of the above

Correct answer: 1. Sensory receptors.